All of the following are features of hypothyroidism except:
1. Dry skin
2. Bradycardia
3. Myxedema
4. Lid retraction

Correct answer: 4. Lid retraction

Explanation: Ans. D: Lid retraction Common features of hypothyroidism include easy fatigability, coldness, weight gain, constipation, menstrual irregularities, and muscle cramps. Physical findings include a cool, rough, dry skin, puffy face and hands (myxedema),hair becomes dry and tends to fall, a hoarse, husky voice, and slow reflexes. A - Cardiovascular Signs Impaired muscular contraction, bradycardia, and diminished cardiac output. Cardiac enlargement may occur, due in part to interstitial edema, nonspecific myofibrillary swelling, and left ventricular dilatation but often to pericardial effusion. Although cardiac output is reduced, congestive heart failure and pulmonary edema are rarely noted. B - Pulmonary Function Shallow, slow respiration and impaired respiratory response to hypercapnia or hypoxia. Respiratory failure is a major problem in patients with myxedema coma. C - Gastrointestinal Tract Peristalsis is markedly slowed, resulting in chronic constipation and occasionally severe fecal impaction or ileus. D - Hematologic Anemia is the major manifestation. E - Renal Function Decreased glomerular filtration rate and impaired ability to excrete water load. F - Neuromuscular System Severe muscle cramps, paresthesias, and muscle weakness. G - Nervous System Symptoms may include chronic fatigue, lethargy, and inability to concentrate.Carpal tunnel syndrome may occur. If untreated, hypothyroidism may pass into a hypothermic, stuporous state (myxedema coma) that may be fatal. Lid retraction is a manifestation of hyperthyroidism.